A patient presents with respiratory distress and shows pH = 7.2, PCO2 = 50 mmHg, PO2 = 85 mmHg and HCO3 = 20 mEq/L. The cause is
1. Metabolic acidosis
2. Metabolic alkalosis
3. Respiratory acidosis with compensatory Metabolic alkalosis
4. Respiratory acidosis with decompensatory Metabolic acidosis

Correct answer: 4. Respiratory acidosis with decompensatory Metabolic acidosis

Explanation: (D) Respiratory acidosis with decompensatory Metabolic acidosis PREDICTION OF COMPENSATORY RESPONSES ON SIMPLE ACID-BASE DISTURBANCESDisorderPrediction of Compensation* Metabolic acidosisPaco2 = (1.5 x HCO3-) + 8OrPaco2 will | 1.25 mmHg per mmol/L |in orPaco2 = + 15* Metabolic alkalosisPaco2 will | 0.75 mmHg per mmol/L | in Paco2 will | 6 mmHg per mmol/L | in Paco2 = + 15* Respiratory alkalosis * Acute will | 2 mmol/L per 10 mmHg |, in Paco2* Chronic will|4 mmol/L per 10 mmHg | in Paco2* Respiratory acidosis * Acute will | 1 mmol/L per 10 mmHg | in Paco2* Chronic will | 4 mmol/L per 10 mmHg | in Paco2